Sexual asphyxia is associated with -
1. Sadism
2. Masochism
3. Fetichism
4. Vouyerism

Correct answer: 2. Masochism

Explanation: In masochism sexual gratification is obtained or increased by the suffering pain. Sexual asphyxia/ Autoerotic asphyxia/ Asphyxiophilia is a partial asphyxia which causes cerebral disturbances with feeling of sexual gratification. Pressure on carotid vessels or partial obstruction of air-passages impaires consciousness and may lead to hallucination of an erotic nature. Usually associated with abnormal sexual behaviour, masochism & transvestism Ref: The synopsis of forensic medicine & Toxicology Dr .K. S Narayan Reddy. 28th edition pg : 196 &232